Neurotransmitter which is released at the end organ of the parasympathetic division of ANS:
1. Acetylcholine.
2. Adrenaline.
3. Non adrenaline.
4. All of the above.

Correct answer: 1. Acetylcholine.

Explanation: Non-adrenaline is secreted at the end organ of the sympathetic system except in sweat glands and hair follicle while acetylcholine is released at parasympathetic system.